Recurrent balanoposthitis seen in :
1. DM
2. Herpes simplex
3. Smoking
4. Alcohol

Correct answer: 1. DM

Explanation: A i.e. Diabetes mellitus Atlas of Dermatology 2/e Vol I P-1492; Fitzpatrick's 6/e p-2164-2212; Rooks 7/e p.30.1-30.30, 25.20-39] - Inflamation of the glans penis is called Balanitis & that of mucousal surface of prepuce is called prosthitis. Inflamation of both prepuce & glans is called Balano prosthitis. Diabetes mellitusQ causes recurrent balanoprosthitisQ